Most common ovarian tumour in less than 20 year old is:
1. Epithelial tumour
2. Germ cell tumour
3. Metastatic tumour
4. Sex cord stromal tumour

Correct answer: 2. Germ cell tumour

Explanation: Below 20 years, 60% ovarian tumours are of germ cell origin and in girls less than 105, 85% tumours are of germ cell origin. Ref: Shaw 15th edition: page; 376.